A 20-year female presents with a ovarian mass 6x 6 x 6 cm in size Ultrasonography reveals solid structures in the mass. Her serum biomarkers such as AFP, fO-hCG and CA 125 are normal, however, her serum alkaline phosphatase was found to be elevated. The most likely
1. Dysgerminoma
2. Endodermal sinus tumor
3. Malignant teratoma
4. Mucinous cystadenocarcinoma

Correct answer: 1. Dysgerminoma

Explanation: - dysgerminoma is the most common among the malignant germ cell tumors accounting for 40%. - tumors markers like placental alkaline phosphatase and lactic dehydrogenase may be elevated in dysgerminoma. Reference : textbook of gynaecology Sheila balakrishnan, 2nd edition, pg no: 283